Lack of differentiation is called:
1. Anaplasia
2. Metaplasia
3. Dysplasia
4. Carcinoma

Correct answer: 1. Anaplasia

Explanation: Ref. Robbins Pathology. 9th edition. Page. 269 
Differentiation refers to the extent to which neoplastic parenchymal cells resemble the corresponding normal parenchymal cells, both morphologically and function- ally; lack of differentiation is called anaplasia